Acid fast oocysts are seen in -
1. Cryptosporidium
2. Isospora
3. Cyctospora
4. All of the above

Correct answer: 4. All of the above

Explanation: Ans. is 'd' i.e., All of the above o Acid fast parasites1. Cryptosporidium parvum2 Cyclospora sp3. Isospora belli4. Taenia saginata----OocystOocystOocystEgg